True about Vossius' s ring is
1. It is the ring around optic nerve
2. Synonymous with Soemmering's ring
3. Impression of miotic pupil on lens
4. Impression of dilated pupil on lens

Correct answer: 3. Impression of miotic pupil on lens

Explanation: During injury to eye a circular ring of faint or stippled opacity is seen on the anterior surface of lens due to brown amorphous granules of pigment lying on the capsule. This is known as Vossius's ring. It has the same diameter as that of contracted pupil and is due to impression of Iris on the lens produced by force of concussion injury which drives the cornea and iris backwards.